Bergers disease does not involve-
1. Arteries
2. Nerves
3. Lymphatics
4. Veins

Correct answer: 3. Lymphatics

Explanation: Ans. is 'c' i.e., Lymphatics o "It is the in flammatory reaction in the arterial wall with involvement of the neighbouring vein and nerve ".o "Occlusive lesions are predominate seen in muscular arteries".